True about ESI?
1. State give 1/8th and ESI gives 7/8th of the sum
2. Employers 8.75% of salary and employees give 4.75%
3. Funeral benefits Rs.50,000
4. For Person earning Rs.70/ day has to contribute Rs.300/ month

Correct answer: 1. State give 1/8th and ESI gives 7/8th of the sum